Small size placenta is seen in ?
1. Peripheral vascular disease in mother
2. Pre eclampsia
3. Maternal weight < 50 Kg
4. Multiple pregnancy

Correct answer: 2. Pre eclampsia

Explanation: Ans. is 'B' i.e., Pre eclampsiaSmall placenta on antenatal ultrasound USG may be due to :-Variation in placental morphology :Only post of placenta is seen.Bibbed placenta :Only one lobe is seen.Succenturiate lobe.Hypertensive states (pre-eclampsia, eclampsia)Chromosomal disorders :Trisomy 18, Dysgenic triploidy, IUGR or intrauterine infection